The role played by major histocompatibility complex proteins (MHC-1 and MHC-2) is to ?
1. Transduce the signals to T cells following antigen recognition
2. Mediate immunoglobulin class-switching
3. Present antigens for recognition by T cell antigen receptors
4. Enhance the secretion of cytokines

Correct answer: 3. Present antigens for recognition by T cell antigen receptors

Explanation: Ans. is 'c' i.e., Present antigens for recognition by T cell antigen receptorsThe histocompatibility antigens (human leukocyte antigens - HLA) are cell surface antigens that induce an immune response leading to rejection of allografts.o The principal physiologic function of the cell surface histocompatibility molecules is to bind peptide fragments of foreign proteins for presentation to antigen specific T cells.o The histocompatibility antigens are encoded by a closely linked multiallelic cluster of genes --> Major histocompatibility complex (MHC) or Human leukocyte antigens complex (HLA complex).o HLA complex of genes is located on the short arm of chromosome 6.